A patient presented with peripheral field loss and fundus examination shows waxy exudates & pale disc with pigmentation around retinal vessels, diagnosis is –
1. Behcet's syndrome
2. Chorioretinitis
3. Open angel glaucoma
4. Retinitis – pigmentosa

Correct answer: 4. Retinitis – pigmentosa

Explanation: Peripheral visual field defect, pale waxy disc and pigmentation around retinal vessels (perivascular pigmentation) suggest the diagnosis of retinitis pigmentosa.